Majority of patients with HNPCC have mutations in ?
1. MSH I
2. MSH 2
3. MSH3
4. MSH4

Correct answer: 2. MSH 2

Explanation: Ans. is 'b' i.e., MSH 2 Hereditary Nonpolyposis colorectal cancer (HNPCC) is caused by inherited mutations in genes that encode proteins responsible for the detection, excision, and repair of errors that occur during DNA replication.